Amount of blood in capillary pool at anytime -
1. 250 ml
2. 1000ml
3. 2000ml
4. 2500 ml

Correct answer: 1. 250 ml

Explanation: Ans. is 'a' i.e., 250 mlo Capillaries contain 5% of total blood volume, i.e., 250 ml out of 5000 ml of total blood.VesselPercentage of total blood volume containedAorta2Artery8Arteriale1Capillaries5Venous system54Pulmonary circulation18Heart12